First Symptoms of parkinsons disease is -
1. Postural instability
2. Rigidity
3. Tremors
4. Bradykinesia

Correct answer: 3. Tremors

Explanation: Ans. is 'c' i.e., Tremors o Earliest symptom of parkinsonism is "tremor"Parkinsonism is Characteristically Associated with Triad of||||RigidityHypokinesiaTremors|Slowness in initiating and repeating voluntary movements despite normal muscular strengthResting tremors (earliestsvmptoms)o 4-6 hzo Diminish with movement and attentiono Fingers most commonly affectedo Present at restPostural Tremorso 8-10 hzo Persists on movement||LimbsTrunkLead pipe (More in lower limbs/trunk)Stooped/flexed Cog wheel rigidity (more in upper limbs)| | | Gait/Postural reflexes (disturbed)